Besides its properties of decreasing intraocular pressure, timolol is preferred in the treatment of glaucoma because it:
1. Produces no miosis
2. Possess membrane stabilizing activity
3. Increases outflow of aqueous humor
4. Is a selective beta–adrenoceptor blocker

Correct answer: 1. Produces no miosis